Which of the following statements regarding corneal transplantation is true –
1. Whole eye needs to be preserved in tissue culture
2. Donor not accepted if age > 60 years
3. Specular microscopy analysis is used to assess endothelial cell count
4. HLA matching is mandatory

Correct answer: 3. Specular microscopy analysis is used to assess endothelial cell count

Explanation: Specular microscopy of the donor endothelial cells provides a detailed microscopic analysis of individual cell morphology and an estimate of cellular density. Specular microscopy allows better and more precise assessment of corneal endothelium than an ordinary clinical slit lamp.
The donor cornea is most commonly preserved as a corneoscleral rim (button) although the whole globe may also be used. The whole globe is not preserved in tissue culture though it may be kept in a moist chamber for a short duration.
Donor age > 60 years is not a contraindication.
As the corneal tissue is avascular, it is considered an immunologically privileged site. Corneal transplants are unique in the sense that HLA typing and systemic immunosuppression is not mandatory.